A 9 years old child is restless. He is hyperactive and his teacher complains that he does not listen to the teachings, disturbs other students he also shows less interest in playing. The likely diagnosis is :
1. Cerebral palsy
2. Attention decit hyperkinetic child
3. Delirium
4. Mania

Correct answer: 2. Attention decit hyperkinetic child

Explanation: Hyperkinetic attention deficit disorder
is a common disorder of school-age children
6-8 times more common in males* 
Clinical features

A) Poor attention span with distractibility
i. fail to finish the things started.
ii. Shifts from uncompleted activity to other
iii. doesn't listen to others
iv. often looses thing
B) Hyperactivity

Fidgety
difficulty in sitting at one place for long.
interferes with other peoples activities

Impulsivity

acts before thinking
difficulty in waiting for his turn